Lisfranc's fracture dislocation involves:
1. Lunate
2. Scaphoid
3. Trans metatarsal
4. Capitate

Correct answer: 3. Trans metatarsal

Explanation: C i.e. Trans MetatarsalRef: Fundamentals of Orthopedics, 2nd edition, Mohindra and Jain, Jay pee Publishers, page 160Explanation:Lisfranc's Fracture DislocationThe Lisfranc joint consists of the tarsometatarsal joint complex, which includes the three cuneiforms, cuboid and their articulations with the five metatarsal bones.Dislocations of the Lisfranc joint are the most common dislocations of the foot*.Mechanism of injury: These injuries usually result from high-energy injuries like:Forced hyperflexion in road traffic accidents (Figure 1).Fall from height.On X-ray, there is increased space between the medial cuneiform and the second metatarsal (due to rupture of Lisfranc ligament that runs between these points) called as Fleck sign*.For treating the dislocation has to be reduced accurately either by closed or open means and has to be fixed with K wires or screws.